Clostridium difficile is responsible for
1. Tetanus
2. Gas gangrene
3. Superinfection
4. Food poisoning

Correct answer: 3. Superinfection